Radiological signs of acute pancreatitis include the following except -
1. Colon cut-off sign
2. Cullen's sign
3. Renal halo sign
4. Sentinel loop sign

Correct answer: 2. Cullen's sign

Explanation: All the given signs are present in acute pancreatitis. However, Cullen's sign is a clinical sign (not radiological sign).